Most common leukemia in down syndrome?
1. AMC
2. ALL
3. CLL
4. CML

Correct answer: 2. ALL

Explanation: Acute lymphoblastic leukemia is the most common leukemia in patients with down syndrome.